True about N2O cylinder – a)  Pressure is 2200 PSI b) Blue in colourc) Gas in liquid formd) Pin index 3.5e) It is flammable
1. abc
2. bcd
3. ac
4. bd

Correct answer: 2. bcd

Explanation: N2O cylinder has following features :-


Filled in liquid form
Colour is blue
Capacity → E cylinder → 1590 lit, H cylinder → 15800 lit
Pressure is 760 psi
Pin index is 3.5